Which of the following tumour is associated with raised serum alkaline phosphatase levels?
1. Osteoclastoma
2. Osteosarcoma
3. Multiple myeloma
4. Chondrosarcoma

Correct answer: 2. Osteosarcoma

Explanation: Serum alkaline phosphatase (SAP) It is generally elevated, but is of no diagnostic significance. It has been considered a useful parameter for follow up of a case of osteosarcoma. A rise of SAP after an initial fall after tumour removal is taken as an indicator of recurrence or metastasis. Reference: Maheshwari; Essential Orthopaedics; Page no: 240